Gingival Col is:
1. Orthokeratinized
2. Para keratinized
3. Both para and ortho keratinized
4. Non-keratinized

Correct answer: 4. Non-keratinized